Co, causes?
1. Decrease respiratory drive
2. Reduces cerebral blood flow
3. Depresses vasomotor centre
4. Respiratory stimulation by central chemoreceptors

Correct answer: 4. Respiratory stimulation by central chemoreceptors

Explanation: Respiratory stimulation by central chemoreceptors REF: Ganong's 22' ed chapter 31 Co, causes direct stimulation of vasomotor centre